Local anaesthetic acting for more than 2 hrs – a) Bupivacianeb) Etodocainec) Lignocained) Cholorprocaine
1. ac
2. ab
3. ad
4. bc

Correct answer: 2. ab